What is the clearance of a substance, if its concentration in plasma is 10 mg%, concentration in urine is 100 mg% and urine flow is 2 ml/min?
1. 0.02 ml/min
2. 0.2 ml/min
3. 2 ml/min
4. 20 ml/min

Correct answer: 4. 20 ml/min

Explanation: Ans. D. 20ml/min.rate of elimination = amount of drug excreted per hour concentration in urine x urine flow 2mg/min = 100 mg% x 2 ml/minNow Cl = RoE/Plasma concentration Therefore, Clearance =2mg/min/10mg%=20ml/min.